A 1 day old baby presents with excessive frothing, drooling of saliva from mouth and baby was cyanosed. Which of these is the most likely cause?
1. Oesophageal atresia
2. Diaphragmatic hernia
3. Congenital lung cyst
4. Lung hypoplasia

Correct answer: 1. Oesophageal atresia

Explanation: Ans. A. Oesophageal atresiaOesophageal atresia presents on D1 of life with drooling of saliva, frothing and respiratory distress. Children can have vomiting. Diaphragmatic hernia presents with scaphoid abdomen, RD and mediastinal shift. Congenital lung cyst and lung hypoplasia may not present in neonatal period